Diagnosis of Down syndrome at 11 weeks in the best assessed by
1. Ultrasonography
2. Aminocentesis
3. Chorionic villous biopsy
4. Doppler ultrasound

Correct answer: 3. Chorionic villous biopsy

Explanation: Ans is c i.e. Chorionic viii biopsy